Orderal poison is?
1. Physostigmine
2. Digoxin
3. Cocaine
4. Atropine

Correct answer: 1. Physostigmine

Explanation: Ans. (a) PhysostigmineRef.:Medical Toxicology edited by Richard C. Dard 3rd ed/567